During neonatal resuscitation, the chest compression to ventilation ratio is ___________
1. 3:01
2. 5:01
3. 10:01
4. 15:01

Correct answer: 1. 3:01

Explanation: * Chest compressions consists of rhythmic compressions of sternum that compress the heart against the spine , increase the intra thoracic pressure and circulate the blood to vital organs of the body . *It is important to ventilate in between chest compressions. A positive breath should follow every third chest compression(chest compression to ventilation ratio is 3:1). In one minute, 90 chest compressions and 30 breaths are administered(120 events). To obtain this, the chest should be compressed 3 times in 1.5 seconds leaving out approx. 0.5 second for ventilation. Reference: page 131 Ghai Essential Pediatrics 9 th edition